Tubular vision is seen in
1. Retinitis pigmentosa
2. Bread crumb cataract
3. Balint syndrome
4. central serous retinopathy

Correct answer: 1. Retinitis pigmentosa

Explanation: Ans. (a) Retinitis pigmentosa